Which of the following is the most radiosensitive ovarian tumors :
1. Dysgerminoma
2. Dermoid cyst
3. Serous cystadenoma
4. Endodermal sinus tumour

Correct answer: 1. Dysgerminoma

Explanation: Ans. is a i.e. Dysgerminoma Dysgerminoma is most radiosensitive tumour not only of ovary but of whole body.